Thalidomide is used in the treatment of
1. Type 1 lepra reaction
2. Type 2 lepra reaction
3. Both
4. None

Correct answer: 2. Type 2 lepra reaction

Explanation: Leprosy (Hansen's Disease) Ref:- Sima Jain; pg num:-222